Most common feature indicative of Antemortem drowing:
1. Washerwomen feet
2. Pugilistic attitude
3. Clenched fist
4. Cyanosis

Correct answer: 3. Clenched fist

Explanation: Ans. (c) Clenched fistRef: The essentials of FSM by KS Narayan Reddy 31st ed. P344* Presence of gravel, grass, etc firmly grasped in hand due to cadaveric spasm strongly suggest that person was alive when drowned as it indicates the struggle of person for life.Postmortem signs of drowningPathognomic Signs: indicates antemortem drowningNon Specific signsExternal* Fine copious white leathery froth from mouth, nose & air passage which increases on chest pressure.* Weeds, grass, mud etc in tightly clenched hand: a very definite sign.Internal* Water in stomach & intestine and middle ear* Diatoms in brain & bone marrow of long bones.* Cutis anserine or goose skin* Washer woman hand & feet* Paltauf (subpleural, pectechial) haemorrhage* Emphysema aqousum